In the small intestine, cholera toxin acts by-
1. ADP ribosylation of the G regulatory protein
2. Inhibition of adenyl cyclase
3. Activation of GTP ase
4. Active absorption of NaCl

Correct answer: 1. ADP ribosylation of the G regulatory protein